Which of the following statement is true about vibrio cholerae -
1. There is no natural reservoir
2. Transported in alkaline peptone water medium
3. Halophilic
4. Oxidase negative

Correct answer: 2. Transported in alkaline peptone water medium